Incubation period of gonorrhoea is
1. Less than 24 hrs
2. 1 to 2 days
3. 2 to 15 days
4. 12 to 25 days

Correct answer: 3. 2 to 15 days

Explanation: Gonorrhea is a venereal disease that has been known since ancient times. The disease is acquired by sexual contact. Caused by Neisseria gonorrhoeae. The first step in infection is adhesion of gonococci to the urethra or other mucosal surfaces. Pili are involved in this adhesion. Adhesion is rapid and firm so that micturition after exposure offers no protection against infection. The cocci penetrate through the intercellular spaces and reach the subepithelial connective tissue by the third day of infection. The incubation period is 2-8 days. Reference: Textbook of Microbiology; Anathanarayan and panicker's; 10th edition; Page no: 235